A 3 year old child is brought to you with history of frequent, violent and rapid swinging movement of the left arm for one week duration. What is the condition described in this scenario called?
1. Chorea
2. Hemiballismus
3. Dystonia
4. Athetosis

Correct answer: 2. Hemiballismus

Explanation: The given description is typical of hemiballismus. Chorea is characterised by irregular semi purposive movements like a dance involving the proximal joints. In athetosis there are slow continuous movements mostly at the distal parts of extremities. In dystonia the affected area is maintained in a bizarre position. Ref: Pediatric Clinical Methods by Meharban Singh, 3rd Edition, Page 213